In 3rd degree burns, all are seen except -
1. Vesicles are absent
2. Painful
3. Leathery skin
4. Reddish due to Hb infiltration

Correct answer: 2. Painful